Diagnostic test for paroxysmal nocturnal hemoglobinuria is:
1. Sucrose lysis test
2. Ham test
3. Elevated LDH levels
4. Analysis of GPI-linked proteins

Correct answer: 4. Analysis of GPI-linked proteins

Explanation: (Analysis of GPI-linked proteins) (616-H 16th) (437-CMDT-2009) (661-HI7lh)PAROXYSMAL NOCTURNAL HEMOGLOBINURIA -Diagnosis - Macro-ovalocytes, urine hemosiderin, T LDH, Iron deficiency anemia* TLC and platelet count decreased* Decreased leukocyte alkaline phosphatase* Bone marrow-generated hypoplasia or erythroid hyperplasia* Flow cytometric assays may confirm the diagnoses by demonstrating the absence of CD59 (503-CMDT-07)* Ham test (acidified serum lysis test) and sucrose lysis test (Reduction in ionic strength) are not reliable (616-H)* Analysis of GPI-linked protein (e.g. CD 59, DAF) on RBC and granulocytes by flow cytometry, (616-H)